Which of the following compounds acts as a benzodiazepine antagonist?
1. Flumazenil
2. Naloxone
3. Furazolidone
4. Naltrexone

Correct answer: 1. Flumazenil